Which vertebral segment is numerically most constant?
1. Cervical
2. Thoracic
3. Lumbar
4. Sacral

Correct answer: 1. Cervical

Explanation: The number of vertebrae in a region can vary but overall the number remains the same. The number of those in the cervical region however is only rarely changed.